Which substance enters the urea cycle and gets regenerated
1. Ornithine
2. Aspartate
3. Citrulline
4. Fumarate

Correct answer: 1. Ornithine

Explanation: Hence, Urea cycle is also called Ornithine cycle.
Note: Fumarate does not enter the cycle, it is a by product of the cycle.